NADPH is required in
1. HMP shunt
2. Gluconeogensis
3. Lipogensis
4. Glycogenolysis

Correct answer: 3. Lipogensis

Explanation: Generation of Reducing Equivalents The major metabolic role of the pathway is to provide cytoplasmic NADPH for reductive biosynthesis of fatty acids, Co-enzymes of Fatty Acid Synthesis An important point to remember is that the co-enzyme utilised for de novo synthesis is NADPH. The sources of NADPH for fatty acidsynthesis are:Pentose Phosphate Pathway This is the main source. Tissues having active lipogenesis (liver, adipose tissue, lactating mammary gland) have an active HMP shunt pathway also.Malic Enzyme Malate + NADP+- Pyruvate + CO2 + NADPH + H+ The reaction also helps to transfer cytoplasmic oxaloacetate to the mitochondria. For every molecule of acetyl CoA delivered to the cytoplasm, one molecule of NADPH is formed and reducing equivalents are generated in cytoplasmRef: DM Vasudevan - Textbook of Biochemistry, 6th edition, page no: 116, 139